Menghini's needle is used for?
1. Pleural aspiration
2. Lumbar puncture
3. Kidney biopsy
4. Liver biopsy

Correct answer: 4. Liver biopsy

Explanation: For percutaneous liver biopsy, Aspiration or suction-type needles such as Jamshidi, Klatskin and Menghini are used. The Menghini needle is 6 cm long with an oblique tips slightly convex towards the outside. The patient is asked to inhale slightly and exhale maximally and then hold their breath in a maximum exhaled position. At this point, steady suction is applied to the syringe, which is connected to the needle, and the needle is advanced into the liver and withdrawn. Tru-cut needles are superior to aspiration-type needles in patients with fibrosis or cirrhosis. Biopsy site is 7 or 8th intercostal space in mid axillary space.